All of the following are true about H-files EXCEPT
1. They have good cutting efficiency
2. They are fragile and tend to break easily
3. They are used in torquing action
4. They have more positive rake angle

Correct answer: 3. They are used in torquing action